Which of the following parametric test can be used for comparing means in more than two different group of individuals:-
1. ANOVA test
2. Unpaired student's t-test
3. Paired student's t-test
4. All of above

Correct answer: 1. ANOVA test

Explanation: Parametric tests Paired student's t-test Comparing Means, SD in in paired data (1 group) Unpaired students' t-test Comparing Means, SD in in unpaired data (2 groups) ANOVA Comparing Means, SD in in unpaired data (>2 groups) Non parametric tests Chi-square test Comparing percentage, proportions & fractions in in two or more different group of individuals Wilcoxon Signed rank test Comparing percentage, proportions & fractions in matched paired data Wilcoxon Rank sum test Comparing percentage, proportions & fractions in two unpaired samples